In congenital pyloric stenosis, which of the following is not seen?
1. Weight loss
2. Projectile vomiting
3. Lump
4. Bile in vomitus

Correct answer: 4. Bile in vomitus

Explanation: (D) Bile in vomitus # Clinical features of Hypertrophic pyloric stenosis:> Classical presentation is of non-bilious vomiting beginning usually at 3-6 weeks age.> Vomiting gradually increases in frequency and severity to become projectile.> Gradually dehydration and failure to thrive manifest.> Persistent vomiting leads to malnutrition, dehydration & Constipation is usual.> Stomach muscles contract forcibly to overcome the obstruction.> Vigorous peristaltic waves moving from the left hypochondrium to umbilicus are visible.> Small mass due to pyloric thickening might be palpable in the transpyloric plane on the right side.